Following investigations are required in initial evaluation of a chronic myeloid leukemia patient EXCEPT -
1. Peripheral smear
2. Test for Philadelphia chromosome
3. Bone marrow testing
4. HLA typing

Correct answer: 4. HLA typing

Explanation: CML is established by identification of the clone of hematopoietic stem cells that possesses the reciprocal translocation between chromosome 9 & 22,forming Philadelphia chromosome. Peripheral smear shows metamyelocytes, myelocytes, mature segmented neutrophils , basophils.Bone marrow examination reveals hypercellularity with predominance of myeloid cells.Reference:Harsh mohan textbook of pathology sixth edition pg no 357